X-ray appearance of sequestrum is -
1. Unnatural radiodense fragments
2. Osteopenic fragment
3. Fragment with honeycomb loculated appearance
4. Radiolucent area with speckled calcification

Correct answer: 1. Unnatural radiodense fragments

Explanation: Ans. is 'a' i.e., Unnatural radiodense fragments Sequestrum* Sequestrum is a piece of dead bone, surrounded by infected granulation tissue trying to eat the sequestrum away.* The sequestrum is hardl, rough, porus, light in weight and lighter in colour than normal Normal pattern of bone is lost. (Note : Sequestrum in syphilis and TB is heavier than normal bone because sclerosis usually precedes the death of the bone).* On x-ray, sequestra show up as unnatural dense fragments, in contrast to the surrounding osteopenic bone.